A 60-year old male presented with discoloration, thickening and tunneling of 2 fingernails and one toenail. Which of the following will clinch the diagnosis at the earliest
1. Wood's lamp examination
2. KOH mount
3. Slit smear (split skin smear)
4. Gram stain

Correct answer: 2. KOH mount

Explanation: Ans. b. KOH mount Discoloration, thickening and tunneling of two fingernails and one toenail is suggestive of onychomycosis or Tinea unguum. The most important test to diagnose this is nail scraping for KOH Tinea unguum (Onychomycosis) Tinea unguum is the ringworm of nail, usually caused by T rubrum. It causes yellowish discoloration of the nails along with thickening of the nails. The most important test to diagnose this is a nail scraping for KOH. Type Affected body part Causative agent Tinea carporis (glabrosa) Skin of body or limbs(usually non hairy) T. verrucosumQ Tinea cruris (Dhobi/jack itch) Groin, perineum, thighs, scroturn (least and late involvement) Trichophyton rubrumQ E. floccosum Tinea capitis Scalp Microsporum canis (MC)Q T. schoenleini, T. tonsurans Tinea pedis (Athelete foot) Feet, MC 4th web space T. rubrumQ T. mentagrophyte, E. floccosum Tinea manuum Palms T. rubrumQ Tinea unguum (Onychomycosis) Nail plate >nail beddeg T. rubrumQ T. mentagrophyte, E. floccosum